Staining done for sebaceous cell carcinoma
1. Red 0
2. PAS
3. Methamine silver
4. KOH

Correct answer: 1. Red 0

Explanation: Ans. a. Oil Red 0 Histopathology of Sebaceous cell carcinoma Tumor is composed of lobules or sheets of cells separated by a fibrovascular stroma. The cell extend deeply and often involve the subcutaneous tissue and even the underlying muscle. The cells show various sebaceous differentiation, manifest as finely vacuolated or foamydeg rather than clear cytoplasm. There is more differentiation at the centre of the nest. Sometimes pseudoglandular formationdeg occurs. The vacuolated cells show abundant lipid, if a frozen section is stained with Oil Red '0' or Sudan Blackdeg. Sebaceous cell carcinoma Chlazion is tarsal or meibomian cyst and sebaceous cell carcinoma arises from the meibomian glands, so a recurrent chlazion should be subjected to histo-pathologic evaluation to exclude possibility of Sebaceous cell carcinomadeg. Usually presents as a nodule (which maybe mistaken for chlazion)deg, which then grows to form a big growth Surgical excision with reconstruction of the lids is the treatment of choicedeg